Periportal fatty infiltration of liver is seen with -
1. Alcoholism
2. Viral hepatitis
3. Malnutrition
4. Tetracycline

Correct answer: 3. Malnutrition

Explanation: Ans. is 'c' i.e., MalnutritionCauses of periportal fatty infiltrationo Low protein dieto Total parenteral nutritiono Langerhan's cell histiocytosis.